Specimen for Toxicological (Chemical) analysis are commonly preserved using:
1. Rectified spirit
2. Alcohol
3. 10% Formaldehyde
4. Saturated solution of sodium chloride

Correct answer: 4. Saturated solution of sodium chloride